Which of the following has a normal level of alpha fetoprotein value in serum?
1. Ovarian dysgerminoma
2. Hepatoblastoma
3. Embroynal carcinoma
4. Yolk sac tumours

Correct answer: 1. Ovarian dysgerminoma

Explanation: Alp is used as serum tumour marker in some conditions . Ref - harrison's internal medicine 20e p441 , Davidson's medicine 23e p1324